In a patient suffering from rheumatic heart disease who has to undergo dental treatment, when are prophylactic drugs given? (Or) A 40kg man with prosthetic heart, antibiotics are given for extraction of tooth how many hours before the procedure?
1. 3 hrs. before operation
2. 7 days before operation
3. 1 hr. before operation
4. 1 day before operation

Correct answer: 3. 1 hr. before operation